Deep branch of ulnar nerve innervates:
1. I and II lumbricals
2. Palmaris brevis
3. Dorsal interossei
4. Opponens pollicis

Correct answer: 3. Dorsal interossei

Explanation: There are twenty muscles in hands of which all are supplied by the ulnar nerve except the following five muscles which are supplied by median nerve:
1 Abductor pollicis brevis
2. Flexor pollicis brevis (also often receives additional supply from the deep branch of ulnar nerve)
3. Opponens pollicis
4. First lumbrical
5. Second lumbrical
Note: Palmaris brevis is supplied by superficial branch of ulnar nerve. All interossei are supplied by deep branch of ulnar nerve.